pH is maximum in
1. Pancreatic secretion
2. Intestinal secretions
3. Salivary secretions
4. Gastric secretion

Correct answer: 1. Pancreatic secretion

Explanation: The exocrine pancreas secretes about 1000-2500 ml of juice in 24 hours. The fluid is alkaline and contains bicarbonate and enzymes. This secretion is under the control of the hormones, Secretin and cholecystokinin. Secretin is produced under the stimulation of gastric HCl. Secretin produces a secretion with high bicarbonate content. Gastrin stimulates the production of cholecystokinin (CCK), which in turn produces pancreatic secretion rich in enzymes. The major enzymes present in pancreatic juice are amylase, lipase and proteolytic enzymes (trypsin, chymotrypsin, carboxypeptidase, elastase) as their zymogensRef: DM Vasudevan, page no: 312